'Saturnism' is seen in:
1. Chronic lead poisoning
2. Chronic mercury poisoning
3. Chronic phosphorus poisoning
4. Chronic gold poisoning

Correct answer: 1. Chronic lead poisoning

Explanation: Chr. Lead poisoning = Plumbism = Saturnism = Saturnine poisoning- ALA in urine, Coproporphyrin in urine, facial pallor, Basophilic stippling/Punctate basophilia (dark blue, pin-head spots in cytoplasm of RBCs), Burtonian line (blue line gums' margin, PbS, 50-70% cases, near carious/dirty teeth, Lead palsy, Pb encephalopathy, wrist drop, foot drop, Colic, Constipation, Menstrual irregularity, Sterility, Nephropathy, X-ray- radio-opaque bands at metaphyses of long bones, Pb >0.03mg% in blood is diagnostic.